A most common cause of death due to burns in the early period is?
1. Sepsis
2. Hypovolemic shock
3. Both
4. None

Correct answer: 2. Hypovolemic shock

Explanation: Srb's manual of surgery,4th edition Pathophysiology of burns: 
1.Burns,
2.Loss of fluid, 
3.Severe hypovolemia, 
4.Reduced cardiac output, 
a.Decreased myocardial function. 
b.altered pulmonary resistance causing pulmonary edema, 
5.Infection, 
6.Systemic inflammatory response syndrome-SIRS,
7.Multiorgan dysfunction syndrome-MODS 
8. Ultimately leading to death.